Which among the following is an absolute contraindication of Hormone replacement therapy ?
1. Endometriosis
2. Osteoarthritis
3. Heart disease
4. Breast carcinoma

Correct answer: 4. Breast carcinoma

Explanation: Absolute contraindications of hormone replacement therapy (HRT): Undiagnosed vaginal bleeding Estrogen dependent cancer in the body Severe liver disease Pregnancy Venous thrombosis Well-differentiated and early endometrial cancer (once treatment for the malignancy is complete, is no longer an absolute contraindication.)